Colour change of putrefaction are first observed in the:
1. Iliac fossa
2. Popliteal fossa
3. cubital fossa
4. Arm pits

Correct answer: 1. Iliac fossa

Explanation: A i.e. Iliac fossa